Mechanism of action of Ezetimibe
1. Interfere with absorption of bile acids
2. Interfere CETP
3. Interfere with the absorption of cholesterol by inhibiting NPCIL1
4. Inhibitor of PPAR alpha

Correct answer: 3. Interfere with the absorption of cholesterol by inhibiting NPCIL1

Explanation: Refer kDT 7/e p 641 Ezetimibe is a medication used to treat high blood cholesterol and certain other lipid abnormalities. Generally it is used together with dietary changes and a statin. Alone, it is less preferred than a statin. It is taken by mouth. It is also available in the combination ezetimibe/simvastatin